Which among the following is/are amphipathic liquid?
1. Phospholipid
2. Glycolipid
3. Cholesterol
4. All of the above

Correct answer: 4. All of the above